Complete drug elimination occurs after how many hours, if t½ is 4 hrs.:
1. 12 hrs.
2. 20 hrs.
3. 25 hrs.
4. 30 hrs.

Correct answer: 2. 20 hrs.